All the following antiretroviral drugs produce dyslipidemia except :
1. Atazanavir
2. Saquinavir
3. Amprenavir
4. Nelfinavir

Correct answer: 1. Atazanavir